Reynold's Braude phenomenon is seen with:
1. Candida
2. Malasezzia
3. Trichophyton
4. Epidermophyton

Correct answer: 1. Candida

Explanation: Germ tube test-Reynold's Braude phenonmenon Incubation of the culture of candida species with human or sheep serum at 37degC produces germ tubes within 2-4 hrs. It is a rapid method of identifying Candida albicans